Centric relation refers to the position of the condyles in
1. Posterior most position
2. Posterior superior position
3. Anterior superior position
4. Anterior most position

Correct answer: 3. Anterior superior position